Electrical alternans is seen in -
1. Cardiac tamponade
2. Restrictive cardiomyopathy
3. Constrictive pericarditis
4. Right Ventricular MI (RVMT

Correct answer: 1. Cardiac tamponade

Explanation: Electrical alternans is an electrocardiac phenomenon of alternation of QRS complex amplitude or axis between beats and a possible wandering base-line. It is seen in cardiac tamponade and severe pericardial effusion and is thought to be related to changes in the ventricular electrical axis due to fluid in the pericardium , as the heart essentially wobbles in the fluid filled pericardial sac . Ref Harrison 20,th edition pg 1543